Malignant hydatid cyst is caused by -
1. Echinococcus granulosus
2. E. multilocularis
3. E. vogeli
4. E. oligarthus

Correct answer: 2. E. multilocularis

Explanation: Ans. is 'b' i.e., E. multilocularis Hydatid diseaseo E granulosus causes hydatid disease.o Majority of the hydatid cysts occur in liver. Most frequent site is right lobe of liver.o Lung is the 2nd most common site of involvement. Characteristic feature of lung cyst is that is does not calcifyo Other less common sites of involvement are spleen, kidney, bones, CNS, muscles and eyes.o Beside E granulosus hydatid disease can also be caused by:-# E multilocularis: It produce multilocular alveolar hydatid cyst. Its cyst has tendency to proliferate, resembling a neoplasm -Malignant hydatid cyst.# E vogeli : Causes polycytic hydatid disease.